The chemical used for qualitative and quantitative assessment of alcohol in the expired air is:
1. Aniline
2. Diphenylamine
3. Potassium ferrocyanide
4. Potassium dichromate

Correct answer: 4. Potassium dichromate

Explanation: Ans. Potassium dichromate